HLA 27 antigen is associated with all of the following disease except -
1. Ankylosing spondylitis
2. Reiter's syndrome
3. Psoriatic arthorpathy
4. Rheumatoid arthritis

Correct answer: 4. Rheumatoid arthritis